A 60-year-old male, chronic smoker presented with gross hematuria, pain in the left flank along with significant history of weight loss, fever and shortness of breath for 3 months. O/E, a mass was palpated in the left flank which was firm in consistency and about 5x5 cm in dimensions along with a left sided varicocele was noted. Lab findings revealed anemia along with hypercalcemia. Kidney biopsy was also done. The vein which is involved leading to varicocele in the above patient is contributed embryologically by all except: -
1. Left mesonephric vein
2. Left subcardinal vein
3. Intersubcardinal anastomosis
4. Left supracardinal vein

Correct answer: 4. Left supracardinal vein

Explanation: This is a case of metastatic renal cell carcinoma with cannon ball metastasis in lungs. Chest x-ray shows multiple, bilateral, rounded soft tissue density massessuggestive of cannon ball metastasis in renal cell carcinoma. CT image shows the classical renal cell carcinoma. HPE image is classical of clear cell renal carcinoma. The vein involved is left renal vein. It is contributed by: - Left mesonephric vein Left subcardinal vein Intersubcardinal anastomosis